Obsessive Compulsive Neurosis is likely to progress into
1. Paronia
2. Edogenous Depression
3. Secondary Depression
4. Dissociation

Correct answer: 3. Secondary Depression

Explanation: C i.e. Secondary depression In OCN failure to control ego-alien impulse leads to development of depression, as the patient is unable to control the behaviour about which he knows that it is irrational & absurd.